Which of the following is not an alkylating agent:-
1. Melphalan
2. Cyclophosphamide
3. Busulfan
4. 5-Fluorouracil

Correct answer: 4. 5-Fluorouracil

Explanation: Melphalan Cyclophosphamide Busulfan These are alkylating agents.